Sclera buckling is used in the treatment for
1. Cataract
2. Scleritis
3. Retinal detachment
4. Vitreous hemorrhage

Correct answer: 3. Retinal detachment

Explanation: Retinal detachment: It is the separation of neurosensory retina proper from the pigment epithelium Scleral buckling i.e., inward indentation of the sclera to provide external tamponade is still widely used to maintain chorioretinal apposition for at least a couple of weeks in simple cases of Rhegmatogenous or primary retinal detachment. Scleral buckling is achieved by inserting an explant (silicone sponge or solid silicone band). Radially oriented explant is most effective in sealing an isolated hole, and circumferential explant (encirclage) is indicated in breaks involving three or more quadrants The other surgical options include pneumatic retinopexy or vitreoretinal surgery Scleral buckling is a surgical procedure used to repair a retinal detachment. In this surgery, a surgeon attaches a piece of silicone or a sponge onto the white of the eye at the spot of a retinal tear. The buckle is designed to repair retinal detachment by pushing the sclera toward the retinal tear or break. Ref: Khurana; 4th ed; Pg 276